24 hours after fever, maculopapular rash and erythema appears on the face of infant. This organism can also cause:
1. ALL
2. CML
3. Pure red cell aplasia
4. Hairy cell leukemia

Correct answer: 3. Pure red cell aplasia

Explanation: The described lesion is slapped cheek rash seen in Erythema infectiosum caused by Parvovirus B19. Parvovirus B19 also causes Pure red cell aplasia. Diseases caused by Parvo virus B19:- Erythema infectiosum (most common) Transient arrest of erythropoiesis (aplastic crisis) Papular purpuric "gloves-and-socks" syndrome (PPGSS)